Drug of choice for precocious puberty in girls is:
1. GnRH analogue
2. Danazol
3. Cyproterone acetate
4. Medroxy progesterone acetate

Correct answer: 1. GnRH analogue

Explanation: Ans. (A) GnRH analogue(Ref: Harrison 19th/2380, KDT 8/e p264)Long-acting gonadotropin releasing hormone (GnRH) agonists are the current therapy of choice for central precocious puberty. In girls, mostly central precocious puberty is seen.GnRH agonists are not effective as therapy for peripheral precocious puberty. Androgen antagonists, spironolactone, aromatase inhibitors (Anastrozole and Letrozole), ketoconazole, and medroxyprogesterone acetate are used to treat peripheral precocious puberty.